Foix-Alajouanine disease of the spinal cord is a:
1. Arteriovenous malformation
2. Cavernous malformation
3. Capillary telangiectasia
4. Venous angioma

Correct answer: 1. Arteriovenous malformation

Explanation: Ans. (a) Arteriovenous malformation(Ref: Toole's Cerebrovascular Disorders pg 351)Foix-Alajouanine syndrome is an arteriovenous (AV) malformation of the spinal cord predominantly affecting the lower thoracic and/or lumbosacral levels Foix-Alajouanine syndrome usually occurs in older patients (>50 y).